Which of the following conditions is a contraindication to vasoconstrictors?
1. Thyrotoxicosis
2. Hypertension
3. MI
4. All of the above

Correct answer: 4. All of the above